In free water clearance, free water is generated in?
1. PCT
2. Descending limb of loop of Henle
3. Ascending limb of loop of Henle
4. All of the above

Correct answer: 3. Ascending limb of loop of Henle

Explanation: Ans. is 'c' i.e., Ascending limb of loop of Henle(Ref: Medical physiology for undergraduate E-book p' 4381Free water or solute free water is generated in the diluting segments of the kidney (i.e. thick ascending limb and early distal tubules, where NaCl is reabsorbed and free water is left in the tubular fluid.